Morphine is contraindicated in all except
1. Ischemic heart disease
2. Asthma
3. Elderly male
4. Biliary colic

Correct answer: 1. Ischemic heart disease

Explanation: Morphine is used in treatment of MI, IHD as an analgesic it is contraindicated in asthma since causes respiratory depression in cases of biliary colic as it constricts the spincheters and in cases of head injuries where it increases the intra cranial pressure. Ref:KDT 6/e p457